Aphthous ulcers known as -
1. Canker sores
2. Marjolin's ulcer
3. Curling's ulcer
4. Cushing ulcers

Correct answer: 1. Canker sores

Explanation: Ans. is 'a' i.e., Canker SoresAphahous ulcers o Also known as Canker Soreso These are superficial Ulcerations of oral mucosa.o The lesions may be Single or multiple.o Ulceration is surrounded by an erythematous halo and is Covered by a thin exudate.